Most common gestational trophoblastic disease following hydatidiform mole is?
1. Invasive mole
2. Choriocarcinoma
3. Placental site trophoblastic tumor
4. Placental nodule

Correct answer: 1. Invasive mole

Explanation: Invasive mole REF: COGDT 10' e p. 885 Most common gestational trophoblastic disease is H. mole> invasive mole > choriocarcinoma > placental site trophoblastic tumor